A Female patient comes for treatment of discoloured maxillary canine tooth. On examination there is yellowish discoloration of tooth which is not tender on palpation or percussion test. Radiograph reveals obliteration of root canal. History of trauma is elicited on questioning.

What investigations to be done further?
1. Test cavity
2. Transillumination test
3. Electric pulp testNone
4. None

Correct answer: 4. None